Meckel's diverticulum is a derivative of:
1. Allantoic diverticulum
2. Vitellointestinal duct
3. Ventral mesogastrium
4. Ductus arteriosus

Correct answer: 2. Vitellointestinal duct

Explanation: Ans. (b) Vitellointestinal duct* Persistence of Proximal VID: Meckel's* Persistence of Distal VID: Umbilical adenoma (Raspberry; tumor)